Calculate the percentage of burns on the head, neck and face in a child of one year -
1. 10%
2. 16%
3. 13%
4. None

Correct answer: 4. None

Explanation: Ans. is None